Nitrogen atoms in Urea are derived from
1. Aspartate
2. Ammonia
3. Both of the above
4. None of the above

Correct answer: 3. Both of the above